Hie awareness regarding the disease in psychiatric patient in mental status examination (MSE, not MMSE was given in the question) is called:
1. Insight
2. Orientation
3. Judgment
4. Rapport

Correct answer: 1. Insight

Explanation: Ans. a. Insight Insight Knowledge of own disease/illness in mental status examination Insight Awareness of own disease/illness in mental status examinationQ Orientation Component of cognitionQ Rapport Patient's attitudeQ Judgment Patients capacity to make sound decisionsQ